Wear and tear pigment in the body refer to
1. A. LiPochrome
2. B. Melanin
3. C. Anthracotic pigment
4. D. Haemosiderin

Correct answer: 1. A. LiPochrome

Explanation: Refer ribbons 7/e p39 , 9/e p64